Angiod streaks in the eyes are seen in -
1. Pseudoxanthoma elasticum
2. Tendinous xanthoma
3. Xanthelasma
4. Eruptive xanthoma

Correct answer: 1. Pseudoxanthoma elasticum

Explanation: Ans. is 'a' i.e., Pseudoxanthoma elasticum Angioid streaksAngioid streaks are dark brown pigmented streaks that radiate from the peripapillary retina into the macular and peripheral fundus.The streaks represent linear crack like dehiscences in Bruch's membrane.These are due to changes in the elastic tissue of Bruch's membrane and are frequently associated with more widespread degeneration of similar nature as in the elastic tissue of skin (pseudoxanthoma elasticum) or arterial walls.Nearly 50% of patients with angioid streaks have an associated systemic disease.Most common association of Angioid streaks is with age related degeneration of Bruch's membrane.Other diseases associated arePseudoxanthoma elasticumPaget's disease of boneEhler's Danlos syndromeSeveral hemoglobinopathies such as sickle cell disease.Complications associated with Angioid streaksRisk of choroidal rupture from even relatively mild eye trauma.Older patients with this disease are at risk of developing serous and hemorrhagic detachments of the retina as a consequence of subretinal neovascularization.T/TLaser photocoagulation of extra foveal neovascular membranes.